Beneficial effects of hormone replacement therapy in early menopause
1. Increased Nitric oxide
2. Increased Endothelin
3. Decreased COX-2
4. Increased TNF-α

Correct answer: 1. Increased Nitric oxide